Most common site of urethral carcinoma in men is:
1. Penile urethra
2. Bulbomembranous urethra
3. Prostatic urethra
4. Fossa nevicularis

Correct answer: 2. Bulbomembranous urethra

Explanation: "The bulbomembranous urethra is involved most frequently, accounting for 60% of tumors, followed by the penile urethra (30%) and the prostatic urethra (10%)."- Campbell-Walsh Urology 9th ed. Chapter 32
Carcinoma of the male urethra is rare.
Etiologic factors include chronic inflammation due to a history of frequent sexually transmitted diseases, urethritis, and urethral stricture, and there is likely to be a causal role for human papillomavirus 16 in squamous cell carcinoma of the urethra.
The most common presenting symptoms are urethral bleeding, a palpable urethral mass, and obstructive voiding symptoms.
Most common site is:

bulbomembranous urethra (60%)
penile urethra (30%)
prostatic urethra (10%).

Most common histological subtype is:


squamous cell carcinoma (85%)


transitional cell carcinoma (15%).